A 65 year-old gentleman IS having tremors, rigidity and reduced mobility. He is likely to be benefited by
1. Broniocriptine
2. Alpha Methyle dopa
3. Reserpine
4. Acyclovir

Correct answer: 1. Broniocriptine

Explanation: Repeat